A dead body with suspected poisoning is having hypostasis of red brown in color. It is suggestive of poisoning due to:
1. Nitrites/Aniline
2. CO
3. Cyanides
4. Hydrogen sulfide

Correct answer: 1. Nitrites/Aniline

Explanation: Ans. Nitrites/Aniline